Soap bubble calcification is a feature of
1. Toxoplasmosis
2. Paragonimus cyst
3. Corpus callosal Lipoma
4. All of the above

Correct answer: 2. Paragonimus cyst

Explanation: Soap bubble calcification - Paragonimus cyst.
Bracket calcification - Corpus callosal Lipoma.